In Japanese Encephalitis pigs acts as:
1. Amplifier
2. Definitive host
3. intermediate host
4. Any of the above

Correct answer: 1. Amplifier

Explanation: (A)' Amplifier # In Japanese encephalitis, pig acts an amplifier, it doesn't manifest the disease.> Herons acts as reservoir hosts.> Human infection is a tangential 'dead end' event> Vertebrate hosts may include cattle and buffalo besides pig.